Pneumothorax in the new born can be treated by _____________
1. Oxygen
2. Surfactant
3. Trans illumination
4. Needle aspiration

Correct answer: 4. Needle aspiration

Explanation: *Presence of air in the pleural cavity is most common in babies with meconium aspiration syndrome and those being ventilated* Transillumination can help in diagnosis *Needle aspiration or chest tube drainage is a life saving procedure in this situation . Reference : op Ghai pg 167 , 9 th edition